Fluctuating recurring variable sensorineural deafness is seen in -
1. Serous otitis media
2. Heamotympanum
3. Perilabyrinthine fistula
4. Labrinthine concussion

Correct answer: 3. Perilabyrinthine fistula